SIADH secretion is seen in all except :
1. Lung abscess
2. Interstitial Nephritis
3. Vinka alkaloids
4. Bronchial adenoma

Correct answer: 2. Interstitial Nephritis

Explanation: Answer is B (Interstitial nephritis) : SIADH is not associated with interstitial nephritis Causes of SIADH include: Neoplasm Neurologic Drugs Ca Lung Thymoma Guillain-Barre-syndrome Vasopressin or DDAVP Ca Duodenum Mesothelioma Multiple sclerosis Chlorpropamide Ca Pancreas Bronchial adenoma e Delirium tremens Oxytocin, high dose Ca Ovary Carcinoid Amyotrophic lateral sclerosis Vincristine 9 Ca Bladder, Gangliocytoma Hydrocephalus Carbamazepine Ca Ureter Ewing's sarcoma Psychosis Nicotine Peripheral neuropathy Phenothiazines Cyclophosphamide Tricyclic antidepressants Monoamine oxidaseinhibitors Serotonin reuptake inhibitors Infections Metabolic Congenital malformations Pneumonia, bacterial or viral Acute intermittent porphyria Agenesis of corpus callosum Abscess, lung 0 or brain Pulmonary Cleft lip/palate Cavitation (aspergillosis) Asthma Other midline defects Tuberculosis, lung or brain Pneumothorax Meningitis, bacterial or viral Positive-pressure respiration Encephalitis AIDS Vascular Head trauma (closed & penetrating) Cerebrovascular occlusions, hemorrhage Cavernous sinus thrombosis